Recommended treatment for management of delirium tremens:
1. Diazepam
2. Phenobarbitol
3. Chlorpromazine
4. Haloperidol

Correct answer: 1. Diazepam

Explanation: Ans. A i.e. Diazepam Some prefers giving Chlordiazepoxide